Kaposi variceffiform lesion seen in – a) Atopic dermatitisb) Darriers diseasec) Lichen planusd) Varicella zoster
1. ab
2. a
3. ad
4. bc

Correct answer: 1. ab

Explanation: Most common precipitating disease for eczema herpaticum (Kaposi varicelliform eruption) is atopic dermatitis. Other disease which can precipitate it are Burns, Psoriasis, Barrier's disease, Sezary syndrome, Icthyosis vulgaris, Mycosis fungoides, Dyskeratosis follicularis, Cathelicidin deficiency, Hailey - Hailey disease.